Major cation in intracellular space:
1. Proteins
2. Potassium
3. Sodium
4. Chloride

Correct answer: 2. Potassium

Explanation: Ans: B (Potassium) Ref: Guyton & Hall. The Body Fluid Compartments: Extracellular and Intracellular FI aids. In: Textbook of Medical Phvsiobgy. 12th ed. Philadelphia: SaundersElsevier: 2012. P288.Explanation: (See the following table)